Which statement about first order kinetics is TRUE?
1. Constant amount of drug is eliminated
2. Rate of elimination remains constant
3. Rate of elimination is directly proportional to drug concentration
4. Free drug concentration increases after successive doses

Correct answer: 3. Rate of elimination is directly proportional to drug concentration

Explanation: In first order/exponential kinetics: Rate of elimination is proportional to the plasma drug concentration Clearence and tl/2 remains constant Constant fraction of the drug is eliminated in unit time Most of the drugs follow first order kinetics Zero order/linear kinetics Rate of elimination remains constant irrespective of the plasma drug concentration. CL decreases with increase in plasma drug concentration Constant amount of the drug is eliminated in unit time